Commonest site of Hypertensive bleed is?
1. Pons
2. Putamen
3. Frontal lobe
4. Thalamus

Correct answer: 2. Putamen

Explanation: Putamen REF: Harrison's Internal Medicine 17th edition Chapter 364. Cerebrovascular Diseases Table 364-5 "Hypertensive intraparenchymal hemorrhage (Hypertensive hemorrhage or Hypertensive intracerebral hemorrhage) usually results from spontaneous rupture of a small penetrating artery deep in the brain. The most common sites are the basal ganglia (especially the Putamen), thalamus, cerebellum, and pons" CAUSES OF INTRACRANIAL HEMORRHAGE Cause Location Comments Head trauma Intraparenchymal: frontal lobes, anterior Coup and contracoup injury during temporal lobes; subarachnoid brain deceleration Hypertensive hemorrhage Putamen, globus pallidus, thalamus, cerebellar hemisphere, pons Chronic hypertension produces hemorrhage from small (-100 m) vessels in these regions Transformation of prior Basal ganglion, subcortical regions, lobar Occurs in 1-6% of ischemic strokes ischemic infarction with predilection for large hemispheric infarctions Metastatic brain tumor Lobar Lung, choriocarcinoma, melanoma, renal cell carcinoma, thyroid, atrial myxoma Coagulopathy Any Uncommon cause; often associated with prior stroke or underlying vascular anomaly Drug Lobar, subarachnoid Cocaine, amphetamine, phenylpropranolamine Arteriovenous malformation Lobar, intraventricular, subarachnoid Risk is -2-4% per year for bleeding Aneurysm Subarachnoid, intraparenchymal, rarely subdural Mycotic and nonmycotic forms of aneurysms Amyloid angiopathy Lobar Degenerative disease of intracranial vessels; linkage to Alzheimer's disease, rare in patients <60 Cavernous angioma Intraparenchymal Multiple cavernous angiomas linked to mutations in KRIT1, CCM2, and PDCD10 genes Dural arteriovenous fistula Lobar, subarachnoid Produces bleeding by venous hypertension Capillary telangiectasias Usually brainstem Rare cause of hemorrhage